Fibrinoid necorsis with neutrophilic infiltration is seen in -
1. PAN
2. Giant cell arteritis
3. Takayasu arteritis
4. Wegener's granulomatosis

Correct answer: 1. PAN

Explanation: Harshmohan textbook of pathology 7th edition fibrinod necrosis is characterised by deposition of fibrin like material. On acute stage of PAN there is fibrinoid necrosis in the centre of the nodule located in the media. An acute inflammatory response develops around fibroid necrosis ,it consist of neutrophils, eosinophilia and some mononuclear cells..